Route of administration of BCG for bladder cancer is:
1. Oral
2. Subcutaneous
3. Intravenous
4. None of the above

Correct answer: 4. None of the above

Explanation: (Ref: Goodman & Gilman 11/e p1422) Intravesical route is used for BCG in the treatment of bladder carcinoma.